All of the following statements about Renal physiology are true, except:
1. Distal tubule always receives hypoosmotic solution
2. The kidney receive 5% of the cardiac output
3. GFR is controlled by resistance in afferent and efferent arterioles
4. The Glomerulus receives capillaries from the afferent arteriole

Correct answer: 2. The kidney receive 5% of the cardiac output

Explanation: Kidney receives 25%)(1.2-1.3L) of cardiac output.Ref: Ganong's review of Medical Physiology, 23rd edition, Page number: 643